A 24 year old male was brought to emergency department with complaints of nausea and vomiting, sweating, secretions from the eyes,anxiety,yawning, . What shall be the probable diagnosis ?
1. Organophosphate toxicity
2. Cannabis toxicity
3. Opioid withdrawal
4. Lead toxicity

Correct answer: 3. Opioid withdrawal

Explanation: OPIOID WITHDRAWAL =After withdrawal of the drug for > 12 hours and lasts about a week. =Clinical feature Yawning is the most common feature. =Grading MINOR: Dilated pupils, piloerection, yawning, rhinorrhoea, myalgia, cramps, lacrimation, anorexia. MODERATE: Restlessness, insomnia, hypertension, tachycardia, tachypnoea, diaphoresis. MAJOR: Vomiting, diarrhoea, hyperactive bowel sounds, hypotension. =Death is caused by cardiac arrest following an arrhythmia and ventricular fibrillation. = Rx- Methadone (25 to 50 mg )twice daily helps recovery.